Windkessel effect in large arteries perform what function -
1. Maintain intravascular volume
2. Provide peripheral resistance
3. Prevent fluctuation in BP
4. Exchange of respiratory gases

Correct answer: 3. Prevent fluctuation in BP

Explanation: Ans. is'c'i.e., Prevent fluctuation in BPThe elastic walls of large elastic arteries prevent abrupt changes in BP, a phenomenon called windkessel vessels.